Which one of the following is longest acting IUCD:
1. Progestasert
2. Cu -- T -- 380
3. Mirena
4. Norgesterol

Correct answer: 2. Cu -- T -- 380

Explanation: Cu -- T -- 380